In extended supraomohyoid neck dissection, lymph Node dissection is done up to:
1. II
2. III
3. IV
4. V

Correct answer: 3. IV

Explanation: Selective Neck Dissection - Supraomohyoid neck dissection: Removal of level I-III LNs - Extended supraomohyoid neck dissection: Removal of level I-IV LNs - Posterolateral Neck Dissection: Removal of level II-V LNs + suboccipital LNs + retro auricular LNs - Lateral neck dissection: removal of level II-V LNs + Internal jugular vein - Central compartment neck dissection: Removal of level VI LNs